a keloglutarate dehydrogenase is inhibited by -
1. Fluoride
2. Fluoroacetate
3. Arsenite
4. Iodoacetate

Correct answer: 3. Arsenite

Explanation: Ans. is 'c' i.e., ArseniteIn glycolysiso Fluoride inhibitso Iodoacetate inhibitso Arsenite inhibits---EnolaseGlyceroldehyde 3-phosphate dehydrogenase.Phosphoglycerate kinaseIn TCA cycleo Fluoroacetate inhibits aconitase non-competitively.o Arsenite inhibits a-ketoglutarate dehydrogenase non-competitively.o Malonate inhibits succinate dehydrogenase competitively.